Ameloblasts produce:
1. Cementum
2. Dentin
3. Enamel
4. None of the above

Correct answer: 3. Enamel

Explanation: In the meantime, epithelial cells of the inner dental epithelium differentiate into ameloblasts (enamel formers). These cells produce long enamel prisms that are deposited over the dentin Ref: Langman's embryology 11th edition Chapter 16.